'Jargon' speech comes at:-
1. 6 months
2. 9 months
3. 15 months
4. 12 months

Correct answer: 3. 15 months

Explanation: 15 months - Jargon speech